Swine flu is caused by?
1. H1N1
2. H5N1
3. H3N1
4. H3N3

Correct answer: 1. H1N1

Explanation: ANSWER: (A) H1N1REF: See APPENDIX-69 for details of "H1N1 influenza"Repeat (**)